Praziquantel is used for the treatment of
1. Strongyloidiasis
2. Trichomoniasis
3. Schistosomiasis
4. Rhinosporidiosis

Correct answer: 3. Schistosomiasis

Explanation: Platyhelminthes (flukes & tapeworms) DOC for all the platyhelminths is praziquantel DOC for Fasciola hepatica (liver fluke) is triclabendazole DOC for dog tapeworm is albendazole DOC for trichomoniasis is metronidazole Surgery is done for rhinosporidiosis Nematodes DOC for nematodes is albendazole DOC for filaria is diethyl carbamazine DOC for strongyloidiasis & onchocerca volvulus is Ivermectin